A patient of Crohn's Disease, underwent resection anastomosis. Now presents on 7th post-op day with anastomotic site leak from a fistula. Everyday leakage volume adds up to 150-200m1. There is no intra-abdominal collection and the patient is stable without any complaints. What will be the next line of management?
1. Do conservative treatment and leave him and hope for the spontaneous resolution
2. Perform Laparotomy and check for leakage site and healthy margins
3. Perform Laparotomy and completely exteriorize the fistula
4. Perform Laparotomy and place lateral drains and leave

Correct answer: 1. Do conservative treatment and leave him and hope for the spontaneous resolution